A 30 year old male, Kallu, with a history of sexual exposure comes with a painless indurated ulcer over the penis with everted margins. The diagnosis is ?
1. Syphilis
2. Chancroid
3. Lymphogranuloma venerum
4. Granuloma inguinale

Correct answer: 1. Syphilis

Explanation: Ans. is 'a' i.e., Syphilis Painless indurated ulcer with everted margins, h/o of sexual exposure and lack of systemic symptoms favours the diagnosis of syphilis.